Rate limiting step in cholesterol synthesis is inhibited by
1. Probucal
2. Statins
3. Cholistyramine
4. Gemfibrozil

Correct answer: 2. Statins

Explanation: Refer kDT 6/e p 614 About 80% of total daily cholesterol production occurs in the liver and the intestines; other sites of higher synthesis rates include adrenal glands, and reproductive organs. Synthesiswithin the body starts with the mevalonate pathway where two molecules of acetyl CoA condense to form acetoacetyl-CoA. Statins inhibit HMG-CoA reductase and decrease cellular cholesterol synthesis. ... The over-expression of the LDL-receptor in the liver increases the clearance of circulatingLDL, decreasing the LDL-cholesterol plasma levels.